All are the branches of internal iliac artery except:
1. Obturator artery
2. Middle rectal artery
3. Femoral artery
4. Internal pudendal artery

Correct answer: 3. Femoral artery

Explanation: Ans. C. Femoral arteryThe internal iliac artery supplies the walls and viscera of the pelvis, the buttock, the reproductive organs, and the medial compartment of the thigh.It arises at the bifurcation of the common iliac artery, opposite the lumbosacral articulation, and, passing downward to the upper margin of the greater sciatic foramen, divides into two large trunks, an anterior and a posterior.The anterior division gives rise to these arteries:a. Umbilical artery (in fetus),b. Obturator artery,c. Vaginal artery,d. Superior &inferior vesical artery,e. Uterine artery,f. Middle rectal artery,g. Internal pudendal artery,h. Inferior gluteal artery.The posterior division gives rise to the superior gluteal, iliolumbar, and lateral sacral arteries.